Three point relationship is lost in all, EXCEPT
1. Fracture of lateral epicondyle
2. Fracture of medial epicondyle
3. Posterior dislocation of elbow
4. Supracondylar fracture of humerus

Correct answer: 4. Supracondylar fracture of humerus

Explanation: D i.e. Supracondylar